Fibronectin nephropathy has all of the following features except:
1. Autosomal recessive inheritance
2. Associated with mesangial expansion
3. Glomeruli do not stain for immunoglobulin or complement
4. PAS- positive amyloid negative deposits.

Correct answer: 1. Autosomal recessive inheritance

Explanation: Fibronectin nephropathy Autosomal dominant mode Proteinuria (MC presentation) and slowly progressive loss of renal function. Serum Fibronectinlevels are normal. Light microscopy: Glomerular enlargement and PAS ([?]), trichrome-positive but amyloid (-) mesangial deposits. Electron microscopy: Large (giant), mesangialand subendothelial electron-dense deposits.